MRSA carrier status is diagnosed by taking sample swab from -
1. Skin
2. Nose
3. Oral cavity
4. Perineum

Correct answer: 2. Nose

Explanation: Ans. is 'b' i.e., Nose * To detect MRSA carrier Nasal swab is taken.* S. aureus is part of normal human flora. The anterior nares is the most frequent site of human colonization although the skin (especially when damaged), vagina, axilla, perineum and oropharynx may also be colonized.